The therapeutic efficacy  of antihypertensive drugs is blunted by NSAIDs because they:
1. Cause sodium excretion
2. Increase the clearance of antihypertensive drugs
3. Decrease the absorption of antihypertensive drugs
4. Decrease the synthesis of vascular prostacyclin

Correct answer: 4. Decrease the synthesis of vascular prostacyclin

Explanation: PGE2 and PGI2 cause renal vasodilation, natriuresis and increased water clearance due to inhibition of the action of ADH.
Loop diuretics act partly by increasing the stimulation of COX; therefore NSAIDs attenuate the diuretic action of these drugs.